ORS contains how much potassium-
1. 20
2. 30
3. 40
4. 10

Correct answer: 1. 20